A 32-year-old man involved in a high-speed Road traffic accident is found unconscious at the scene. He is breathing spontaneously. In Accident and emergency, the ECG monitor now shows an irregular rhythm and no P, QRS, ST, or T waves. The rate is rapid. Which is the best management of this patient?
1. CPR until a defibrillator is present
2. IV adrenaline
3. Urgent Echo guided pericardiocentesis
4. IV amiodarone

Correct answer: 1. CPR until a defibrillator is present

Explanation: Ans. A CPR until a defibrillator is presentRef: CMDT 2019 pg. 411The patient is in ventricular fibrillation and needs an urgent CPR to maintain blood flow to the brain in ratio of 30:2.